Megaloblasticanemia occur due to deficiency of
1. Iron deficiency
2. Folate deficiency
3. Protein deficiency
4. Vitamin C deficiency

Correct answer: 2. Folate deficiency